A 16 year old female patient presents to the OPD with hirsutism and masculinization. Which of the following hormones of the adrenal cortex is the likely culprit?
1. Dehydroepiandrosterone (DHEA)
2. Aldosterone
3. Cortisol
4. Epinephrine

Correct answer: 1. Dehydroepiandrosterone (DHEA)

Explanation: Hirsutism and musculanisation in a female suggests excessive androgens like dehydroepiandrosteronen(DHEA), which is culprit here. Adrenogenital sydrome: An adrenocortical tumor secretes excessive quantities of androgens that cause intense masculanizing effects. In women, virile characteristics develop, including growth of a beard, deeper voice, masculine distribution of hair on the body and the pubis and growth of the clitoris. In boys, it presents as precocious puberty. The excretion of 17-ketosteroids (which are derived from androgens) in the urine may be 10 to 15 times elevated. This findings can be used in diagnosing the disease. Ref: Guyton and Hall 13th edition Pgno: 981